After doing a graft repair of a thoracoabdominal aneurysm, the patient developed weaknesss in both legs. Most probable cause for this is:
1. Decreased blood supply to the lower limbs
2. Thoracosplanchnic injury
3. Discontinuation of arteria radicularis magna
4. Lumbosacral nerve injury

Correct answer: 3. Discontinuation of arteria radicularis magna

Explanation: Ans is 'c' i.e. Discontinuation of arteria radicularis magna The Arteria Radicularis Magna (artery of Adamkiewicz) is the main source of blood supply to the anterior spinal artery in the thoracolumbar segment of the spinal cord. It arises from either one of the lower posterior intercostal arteries (T9-11), or of the subcostal artery (T12), or less frequently of the upper lumbar arteries (L1 and L2). Its occlusion or interruption is one of the major reasons for spinal cord ischemia (leading to paraparesis/paraplegia) during surgery for thoracoabdominal aneurysm. "Clamping the descending thoracic aorta causes ischemia of the spinal cord and abdominal viscera. Clinically significant manifestations of hepatic, pancreatic, and bowel ischemia are relatively uncommon. However, both acute renal failure and spinal cord injury resulting in paraplegia or paraparesis remain major causes of morbidity and mortality after these operations."- Schwartz 9/e p678 "Surgery to repair thoracic and thoracoabdominal aortic aneurysms is the most common cause of spinal cord infarction. Rates of spinal cord ischemia following thoracic aortic surgery have been reported to be as high as 29 percent, but are more usually reported as 10 to 11 percent. Both open surgery and endovascular repair are associated with spinal cord ischemia..... Many factors may play a role in this complication. These include systemic hypotension, before, during, or after the procedure; aortic cross clamping causing decreased arterial perfusion and increased spinal canal pressure; and occlusion of important feeding arteries such as the artery of Adamkiewicz or other intercostal arteries either by ligation, resection, or embolization." - Spinal cord infarction: Vascular anatomy and etiologies Authors Michael Mullen, MD at uptodate.com "Kieffer et al. 20 performed preoperative spinal cord arteriography in patients with thoracic and thoracoabdominal aneurysms, and identified the arteria radicularis magna (ARM) in 85%. They reported that the risk of paraplegia was 5% if the ARM was identified preoperatively and reimplanted, whereas it was 50% if the ARM was not reattached." - Spinal Cord Protection During Thoracoabdominal Aneurysm Repair Koichi Tabayashi at uptodate.com "Occlusion of the arteria radicularis magna can cause spinal-cord ischemia with subsequent paraplegia." - Ischemic transverse myelopathy after endovascular repair of a thoracic aortic aneurysm. Reicha M, Balm R, J Endovasc Ther. 2001 Jun:8(3):321-7.